Which is he investigation of choice to differentiate between benign and malignant thyroid nodule?
1. USG
2. FNAC
3. Scintigraphy
4. Biopsy

Correct answer: 2. FNAC

Explanation: Answer- B. FNACFNAC is the investigation of choice to differentiate between benign or malignant solitary thyroid nodules.